Most common cause of pulmonary embolism?
1. Thrombophlebitis
2. Endarteritis
3. Atheroscleroses
4. Lymphangitis

Correct answer: 1. Thrombophlebitis